A compound PDL pocket is
1. Spiral type
2. Present on 2 or more surfaces
3. Infrabony in nature
4. All of the above

Correct answer: 2. Present on 2 or more surfaces